Gasless abdomen on X-ray is seen with what type of trachea-esophageal fistula?
1. Isolated TEF
2. Esophageal atresia with proximal TEF
3. Esophageal atresia with distal TEF
4. Esophageal atresia with double TEF

Correct answer: 2. Esophageal atresia with proximal TEF

Explanation: In esophageal atresia with proximal TEF, as there is no connection of distal esophagus with trachea or proximal esophagus, gasless abdomen will be seen on x-ray.